Splenosis means:
1. Infection of spleen
2. Presence of accessory spleen
3. Rupture of spleen and distribution of its tissue on peritoneum
4. Non-functioning spleen

Correct answer: 3. Rupture of spleen and distribution of its tissue on peritoneum

Explanation: Splenosis Splenosis or regeneration of miniscule splenic remnants in the peritoneal cavity May be encountered in cases of traumatic rupture where splenic tissue disseminates through out the peritoneal cavity Ref: Shackelford 7th edition Pgno : 1616